Lesions of lateral cerebellar cortex causes all except
1. Incoordination
2. Intentional tremors
3. Akinesia
4. Ataxia

Correct answer: 3. Akinesia

Explanation: Akinesia is a feature of Parkinson's disease Ref: Ganong 25th ed/page 251